Fogarty catheter is used for
1. Suprapubic drainage
2. Acute limb ischaemia
3. Cardiac angioplasty
4. Intraventricular drainage

Correct answer: 2. Acute limb ischaemia

Explanation: Fogarty catheter is used to remove thrombus in acute limb ischaemiaThe artery (usually the femoral), bulging with clot, is exposed and held in silastic vessel loops. Through a transverse incision, the clot begins to extrude and is removed, together with the embolus, with the help of a Fogarty balloon catheter. The catheter, with its balloon tip, is introduced both proximally and distally until it is deemed to have passed the limit of the clot.The balloon is inflated and the catheter withdrawn slowly, together with any obstructing material. The procedure is repeated until bleeding occurs.Ref: Bailey and love pg: 955